Physiological uncoupler among the following is
1. 2,4 dinitrophenol
2. Thermogenin
3. Oligomycin
4. Atractyloside

Correct answer: 2. Thermogenin

Explanation: Thermogenin (or the uncoupling protein) is a physiological uncoupler found in brown adipose tissue that functions to generate body heat, particularly for the newborn and during hibernation in animals. Reference: Harper; 30th edition; Page no: 13